Which test is most specific for the detection of syphilis?
1. Rapid plasmin reagin (RPR)
2. Fluorescent treponemal antibody-absorption (FTA-ABS)
3. Venereal Disease Research Laboratory (VDRL)
4. Ziehl-Neelsen stain

Correct answer: 2. Fluorescent treponemal antibody-absorption (FTA-ABS)